What is the clearance of a substance when its concentration in the plasma is 10mg/dl, its concentration in the urine is 100mg/dl and urine flow is 2ml/min?
1. 0.2ml/min
2. 2ml/min
3. 20ml/min
4. 200ml/min

Correct answer: 3. 20ml/min

Explanation: The Clearance of a Substance 'X' is equal to the concentration of substance X in urine (UX) times the urine flow per unit of time (V) divided by the arterial plasma level of X (PX), or UXV/PX.This value is called the clearance of X (CX).Coming to the above question: 100 mg/dl X 2 ml/min / 10 mg/dl = 20 ml/min.